All are dopaminergic agonists used for parkinsonism except-
1. Bromocriptine
2. Ropinerole
3. Pramipexole
4. Selegiline

Correct answer: 4. Selegiline

Explanation: Ans. is 'd' i.e., Selegiline o Selegiline is a MAO-B inhibitor. o Bromocriptine, ropinerole and pramipexole are dopamine agonsists.